Adult polycystic kidney is inherited as :
1. Autosomal-co-dominant
2. Autosomal dominant
3. Autosomal recessive
4. X-linked dominant

Correct answer: 2. Autosomal dominant

Explanation: Answer is B (Autosomal dominant): Adrift nolvcvstic kidney disease is inherited as autosomal dominant trait -Harrison 16th/1694 Remember: Autosomal dominant disorders: Autosomal recessive disorders: X-Linked disorders: Familial hypercholesterolemia Deafness Hemophilia A Q (recessive) Hereditary nonpolyposis colon cancer Albinism Q G6PD deficiency Q (recessive) Polyposis of the colon Q Wilson's disease Q Ducchene/Becker muscular dystrophy Q BRCA I and BRCA2 breast cancer Hemochromatosis Q (recessive) Hereditary hemorrhagic telengiectasia Sickle cell anemia Q Fabry's disease Marfan's syndrome Q 0 thalassemia Q Ocular albinism Hereditary spherocytosis Q Cystic fibrosis Q Testicular feminization Adult polycystic kidney disease Q Hereditary emphysema Chronic granulomatous disease Huntington's chorea Q (cti antitrypsin deficiency) Hypophosphatemic rickets Q (dominant) Acute intermittent porphyria Q Homocystinuria Q Fragile-X syndrome Q (recessive) Osteogenesis imperfecta tardaQ Freidrich's ataxia Q Color blindness Q von Willebrand's disease Q Phenylketonuria Q Myotonic dystrophy Q Fanconi's Syndrome - Familial hypertrophic cardiomyopathy Gaucher's Disease - Neurofibromatosis Q Tuberous sclerosis Q OtospongiosisQ Achondroplasia Q